Hallmark cells are seen in
1. Diffuse large B cell lymphoma
2. Hodgkin lymphoma
3. Anaplastic large cell lymphoma
4. Hairy cell leukemia

Correct answer: 3. Anaplastic large cell lymphoma

Explanation: Anaplastic large cell lymphoma is characterized by the presence of large bizarre cells, called Hallmark cells, with the embryo or horseshoe-shaped nuclei.